Onion peel appearance of splenic capsule is seen in
1. SLE
2. Scleroderma
3. Rheumatoid arthritis
4. Sjogern's syndrome

Correct answer: 1. SLE

Explanation: Ref Robbins 9/e p224 In splenic involvement in SLE _splenomegaly, capsular thickeing , follicular hyperplasia,are common feature . central penicilliary arteries may show concerntric intimal and smooth muscle cell hyperplasia , producing onion skin appearance